Which is the main component of soda-lime in closed circuit
1. Sodium hydroxide
2. Barium hydroxide
3. Calcium hydroxide
4. Potassium hydroxide

Correct answer: 3. Calcium hydroxide

Explanation: Sodalime constitutes a mixture of 95% Ca(OH)2, 5% NaOH and 1%KOH.